Which of the following is the most common cause of subacute endocarditis?
1. Staphylococcus aureus
2. Staphylococcus epidermidis
3. Streptococcus viridans
4. Streptococcus pyogenes

Correct answer: 3. Streptococcus viridans

Explanation: Intraoral Streptococcus viridans is the most common cause of subacute endocarditis. 
Staphylococcus aureus is the most common cause of acute endocarditis.